All are true about bacterial killing,except:
1. MPO helps in formation of OCl
2. Immune deficiency in Brutton's agammaglobinemia is not related to opsonization
3. Chediak-Higashi syndrome is due to failure of phagolysosome formation
4. NADPH oxidase helps in formation of superoxide anion

Correct answer: 2. Immune deficiency in Brutton's agammaglobinemia is not related to opsonization

Explanation: . Immune deficiency in Brutton's agammaglobinemia is not related to opsonization